The surgical procedure of choice for skeletal class 2 malocclusion due to retrognathic Mandible is
1. Le fort I osteotomy
2. Advancement genioplasty
3. BSSO set back of mandible
4. BSSO advancement of mandible

Correct answer: 4. BSSO advancement of mandible